In menopause, which of the following is seen:
1. High progesterone
2. High estrogen
3. High FSH
4. Low FSH

Correct answer: 3. High FSH

Explanation: Ans. C i.e. High FSH